About first order kinetics true statement is:
1. Clearance remains constant
2. Fixed amount of the drug is eliminated
3. Half life increase with dose
4. Decreased clearance with increasing dose

Correct answer: 1. Clearance remains constant